Recalcitrant Pustular Acne is treated by
1. Oral Erythromycin
2. Oral tetracycline
3. Steriod
4. Retinoid

Correct answer: 4. Retinoid

Explanation: D i.e. Retonoid